Which of the following are signs of tentorial herniation?
1. Sunset sign
2. Sixth nerve palsy
3. Decerebrate rigidity
4. All of the above

Correct answer: 4. All of the above

Explanation: Ans. D. All of the aboveIf the intracranial pressure exceeds the compensatory mechanisms, herniation with secondary compression and infarction of brain tissue occurs. Common signs of tentorial herniation include sunset sign, sixth nerve palsy, coma, tonic fits, decebrate rigidity, hypertension, bradycardia, hemiplegia, hemianopia and bilateral fixed dilated pupils.